A young female presented to the clinic with headache and malaise. Her blood pressure is high, but different in both upper limbs (difference is >10mm Hg). Pulseless disease is diagnosed in this patient. Which of the following blood vessel is commonly affected in this kind of vasculitis?
1. Coeliac axis
2. Coronaries
3. Radial artery
4. Renal artery

Correct answer: 4. Renal artery

Explanation: Large vessel vasculitis affects predominantly the aorta and its major branches. Takayasu's disease is a chronic inflammatory fibrosing arteritis affecting primarily the aorta and its major branches. In Takayasu arteritis, the ostia of the renal arteries and the main renal arteries are most often affected, which leads to renovascular hypertension and ischaemia.Medium-sized vessel vasculitis affects predominantly major visceral arteries and may involve the main renal artery, interlobar arteries, and arcuate arteries. The inflammation and necrosis of arteries may result in thrombosis or rupture, which causes renal infarction and haemorrhage. Small vessel vasculitis predominantly affects capillaries, venules, and arterioles including the glomeruli. Ref: Integrated Systematic Nephrology, 3rd Edition By Tak-Mao Chan, Tak-Mao Chan M K Chan, 2006, Page 83 ; Harrison, 17th edition, table 319-6